In BARON clasification of endoscopic finding in ulcerative colitis, score 3 refers to:
1. Ramifying vascular pattern of mucosa
2. Bleeding to light touch
3. Spontaneous bleeding
4. Granulomas

Correct answer: 3. Spontaneous bleeding

Explanation: Baron Endoscopic scores for ulcerative colitis Score 0: Normal: matt mucosa, ramifying vascular pattern clearly visible, no spontaneous bleeding, no bleeding to light touch Score 1: Abnormal, but non-haemorrhagic: appearances between 0 and 2 Score 2: Moderately hemorrhagic: bleeding to light touch, but no spontaneous bleeding seen ahead of the instrument on initial inspection Score 3: Severely haemorrhagic: spontaneous bleeding seen ahead of instrument at initial inspection and bleeds to light touch Other scoring systems are: Schroeder and Feagan Ref: Journal of Crohn's and Colitis (2012) 6, 965-990.